An intravenous anaesthetic agent that is associated with hemodynamic stability, maintenance of CVP with post operative nausea, vomiting and myoclonus –
1. Ketamine
2. Etomidate
3. Propofol
4. Opioids

Correct answer: 2. Etomidate

Explanation: Etomidate has minimal effect on cardiovascular system (most cardiostable / hemodynamically stable) and has highest incidence of nausea & vomiting amongst the inducing agents.